Ketone body formation without glycosuria seen in
1. DM
2. DI
3. Prolonged starvation
4. Obesity

Correct answer: 3. Prolonged starvation

Explanation: Repeated question